In Phenylketonuria, the first line therapy is:
1. Replacement of the defective enzyme
2. Replacement of the deficient product
3. Limiting the substrate for deficient enzyme
4. Giving the missing amino acid by diet

Correct answer: 3. Limiting the substrate for deficient enzyme

Explanation: In phenylketonuria:- There is accumulation of phenylalanine Accumulated phenylalanine inhibits the transport of other amino acids required for neurotransmitter synthesis, reduces synthesis and increases degradation of myelin - Intellectual disability Breastfeeding introduces phenylalanine and symptoms will be:- 1. Vomiting 2. Irritability 3. Convulsions & tremors are the usual presentations. Thus, limiting the substrate of the deficient enzyme, i.e. phenylalanine, is the first-line of management. Breastfeeding should be avoided.